The process of applying a resin to the fissures of a newly erupted tooth was introduced by
1. Black G.V.
2. Buonocore
3. Hyatt
4. Hororwitz

Correct answer: 2. Buonocore